The following amino acid is essential for synthesis of nitric oxide:
1. Arginine.
2. Aspartate.
3. Alanine.
4. Glycine.

Correct answer: 1. Arginine.

Explanation: Harper – 572
Nitric oxide is formed by the action of the enzyme NO synthase, which is cytosolic.
The endothelial and neuronal forms of NO synthase are activated by Ca. The substrate is arginine, and the products are citrulline and NO.